A young patient of schizophrenia is intolerant to anti-psychotic medications. Which drug is most preferred for such a patient:
1. Clozapine
2. Olanzapine
3. Riseperidone
4. Haloperidol

Correct answer: 1. Clozapine

Explanation: Ans: A i.e. ClozapineAbout 30% of patients do not respond to antipsychotics, or are intolerant to them, usually because of extrapyramidal side effects. The only proven drug intervention for this group is clozapine, which is effective in between a third and a half of such patients.